Infection with Hepatitis B virus is associated with the appearance in the blood of all of the following except -
1. Hepatitis B antibody
2. Hepatitis B surface antigen
3. Core of the Dane particle
4. DNA polymerase activity

Correct answer: 3. Core of the Dane particle

Explanation: Ans-C-Core of The Dane particle